Elisabeth Kubler-Ross classified five stages of
1. Schizophrenia
2. Delusion
3. Grief
4. None

Correct answer: 3. Grief

Explanation: Elisabeth Kubler-Ross made a comprehensive and useful organisation of reactions to impending death. Stage1- Shock & Denial Stage2- Anger Stage3- Bargaining Stage4- Depression Stage5- Acceptance Ref: Synopsis of Psychiatry, 11e, pg 1352.